True about blunt abdominal trauma with splenic rupture:a) Kehr's sign-discoloration around umbilicusb) Spleen is most common organ to be involvedc) Splenectomy is treatment of choice for splenic ruptured) Cullen's sign seen
1. c
2. d
3. bd
4. ac

Correct answer: 3. bd